Which of the following is a cause of unilateral hyperlucent lung on chest radiography?
1. Poland syndrome
2. Asthma
3. Acute bronchiolitis
4. Pleural effusion

Correct answer: 1. Poland syndrome

Explanation: Poland's syndrome (unilateral congenital absence of pectoral muscles) causes unilateral hypertranslucency.
Asthma & acute bronchiolitis cause bilateral hypertranslucency.